All of the following drugs are commonly used in regimens against H. pylori except -
1. Oxytetracycline
2. Amoxicillin
3. Bismuth subcitrate
4. Omeprazole

Correct answer: 1. Oxytetracycline

Explanation: Davidson's principles and practice of medicine 22nd edition. *Drugs used amoxicillin,clarithromycin,metronidazole for 7 days. *Amoxicillin ,omeprazole,bismuth subcitrate and tetracycline.